Which of the following is the constituent of mini pill?
1. Only progesterone
2. Only estrogen
3. Estrogen + progesterone
4. Norethisterone + estradiol

Correct answer: 1. Only progesterone

Explanation: Ans: a (Only progesterone) Ref: Shaw, 13th ed, p. 228The constituent of minipill is only progesterone. It does not contain estrogen. It is also known as progesterone only pill.OCP(a) Combined- Monophasic- Multiphasic -Sequential pill (only estrogen in 1st 14 days and estrogen + progesterone in next 14)(b) Minipill -Progesterone only pillMechanism of action of OCPCombined OC pills suppress pituitary hormones FSH and LH and through their suppression prevents ovulation. At the same time, progesterone causes atrophic changes in the endometrium and prevents nidation.Benefits of OCP(1) Contraceptive - Prevention of pregnancy(2) Non contraceptive(a) Cycle stabilization(b) Cure of menstrual disorder (c) Protection against cancer- Ovarian- Endometrial(d) Benign tumour- Benign breast disease- Ovarian functional cyst- Fibromyoma uterus(e) Protects against- P1D-Anaemia- Endometriosis- Acne, hirsuitism- Rheumatoid arthritis- OsteoporosisOCP reduces the incidence of ectopic pregnancy is due to suppression of ovlulation, and reduction inPIDSide effects of OCPI. MinorNausea, vomiting, lack of appetite, break- through bleedingBreast tendernessVaginal dischargeHeadache, migraineChloasmaWeight gainAcne, Oily skinII. Major(a) Cardiovascular disease- Stroke- Venous Thromboembolism- HT- Coagulation abnonnalities(b) Cancer - Breast Ca, Ca cervix, Liver Ca(c) Diabetes(d) Gall stones(e) Affects lactation